The commonest cause of colonic obstruction in neonates is -
1. Meconium ileus
2. Aganglionic colon
3. Beal atresia
4. Volvulus

Correct answer: 2. Aganglionic colon

Explanation: Option 'a & c' are causes of small bowel obstruction, not colonic obstruction
A most common cause of Intestinal obstruction in a neonate is Intestinal atresia — p. 1133, 1232 Nelson